Which of the following is the best predictor of attempting suicide in the future?
1. Alcohol abuse
2. Unemployment
3. Prior suicide attempt
4. Divorce

Correct answer: 3. Prior suicide attempt

Explanation: Ans. C. Prior suicide attemptThe strongest indicator of the likelihood of attempting suicide is a history of previous suicide attempts. It has been shown that women make more suicidal gestures, but men are more likely to choose lethal methods and thus are more likely to successfully commit suicide. Therefore, male gender is considered more a risk factor for suicide completion. Alcohol or substance abuse, unemployment, and recent divorce are all additional risk factors but are less significant than a history of previous suicide attempts.